Commonest site from where pseudomyxoma peritonei arise :
1. Ovary
2. Appendix
3. Pancreas
4. Stomach

Correct answer: 2. Appendix